Which of the following is derived from both ectoderm and mesoderm?
1. Suprarenal gland
2. Kidney
3. Pancreas
4. Spleen

Correct answer: 1. Suprarenal gland

Explanation: Adrenal The adrenal gland consists of a superficial Cortex and a deeper medulla .the cells of the cortex arise from the coelomic epithelium(mesoderm). the cells of the medulla are derived from the neural crest(ectoderm) HUMAN EMBRYOLOGY-INDERBIR SINGH TENTH EDITION-PAGE NO:353